Which of the following statement about N. gonorrhoea is NOT TRUE?
1. Exclusive human pathogen
2. Acute urethritis is MC manifestation in males
3. Highly sensitive to Penicillin
4. Some strains may cause disseminated disease

Correct answer: 3. Highly sensitive to Penicillin

Explanation: Penicillin and tetracycline are ineffective in the treatment of N gonorrhoeae due to chromosomally mediated resistance. Penicillin, ampicillin, and tetracycline are no longer reliable for the treatment of gonorrhea and should not be used. Third generation cephalosporin is highly effective as single-dose therapy for gonorrhea. Acute urethritis is the most common clinical manifestation of gonorrhea in males. Patients usually presents with urethral discharge and dysuria, usually without urinary frequency or urgency. In women it most commonly causes mucopurulent cervicitis. Other manifestations of gonococcal infections includes gonococcal vaginitis, anorectal gonorrhea, pharyngeal gonorrhea, ocular infection and gonococcal arthritis. In neonates it can cause ophthalmia neonatorum. Gonococcal vulvovaginitis is the most common manifestation of gonococcal infection in children beyond infancy. Ref: Ram S., Rice P.A. (2012). Chapter 144. Gonococcal Infections. In D.L. Longo, A.S. Fauci, D.L. Kasper, S.L. Hauser, J.L. Jameson, J. Loscalzo (Eds),Harrison's Principles of Internal Medicine, 18e.